Diplopia is diagnostic feature of
1. Concomitant squint
2. Paralytic squint
3. Latent squint
4. All

Correct answer: 2. Paralytic squint